Drug of choice for cheese reaction
1. Amitryptaline
2. Dantrolene sodium
3. Phentolamine
4. Yohimbine

Correct answer: 3. Phentolamine

Explanation: Cheese reaction occurs when cheese,red wine or beer is consumed along with MAO - A inhibitors as they inhibits metabolism of tyramine present in these items.
Increase tyramine levels can rlevate blood pressure of cause hypertensive crisis which is treated by Phentolamine that blocks alpha1 and alpha2 receptors.